Which of the following drug is used in adjuvant setting in carcinoma colon?
1. Bevacizumab
2. Cetuximab
3. Irinotecan
4. Oxaliplatin

Correct answer: 4. Oxaliplatin

Explanation: Carcinoma colon: Adjuvant setting - FOLFOX-IV Fol-folinic Acid (leucovorin) F-5-FU OX - Oxaliplatin Metastatic colorectal cancer:- FOLFIRI: Only given in metastatic colorectal cancer Fol-Folinic Acid F-5-FU IRI - Irinotecan- BEVACIZUMAB- CETUXIMAB- IRINOTECAN